All causes brain lesions except - rpt
1. Giardiasis
2. Tuberculosis
3. Cysticercosis
4. Bacteroids

Correct answer: 1. Giardiasis

Explanation: Guardia lamblia causes giardiasis. the parasite attaches itself to the epithelial surface of duodenum and jejunum and causes disturbance of intestinal function leading to malabsoption of fat. The patient may complaints of persistent loosened of bowel and mild steatorrhoea. REF:Baveja textbook of microbiology 3rd edition.